A patient has MCV <80, MCH <23. Which type of anaemia shall be classified?
1. Normocytic hypochromic
2. Microcytic hypochromic
3. Hyperchromic macrocytic
4. Normocytic normochromic

Correct answer: 2. Microcytic hypochromic

Explanation: Parameters given in the question suggests that the pt has Microcytic hypochromic anemia. Reduced values of MCV and MCHC: Microcytic hypochromic anemia Iron deficiency anemia is the most common cause of hypochromic microcytic anemia. MCHC - average concentration of hemoglobin in a given volume of packed red cells Normal MCHC is 34-37g/dl Value <34g/dl indicate that red cells are hypochromic, which can occur in iron deficiency anemia. - Given illustration shows hypochromia and microcytosis along with anisopoikilocytosis - suggests the diagnosis of Iron deficiency anemia.